If a patient were genetically unable to make J chains, which immunoglobulins would be affected?
1. IgG and IgA
2. IgM and IgE
3. IgM and IgA
4. IgG and IgM

Correct answer: 3. IgM and IgA

Explanation: IgM and IgA contain J chain.